Platelet function can be assessed by ?
1. Prothrombin time
2. Fibrinogen degradation products
3. Clotting time
4. Bleeding time

Correct answer: 4. Bleeding time

Explanation: Ans. is 'd' i.e., Bleeding time